Characteristic feature of Goodpasture's syndrome?
1. Lumpy-bumpy deposits on immunofluorescence
2. Serum antibodies against alpha 3 NC 1 domain of collagen-IV
3. Serum antibodies against alpha 1 NC 1 domain of collagen III
4. Anti DNAse antibodies positive

Correct answer: 2. Serum antibodies against alpha 3 NC 1 domain of collagen-IV

Explanation: In Goodpasture syndrome, type 1 RPGN & type II hypersensitivity reaction are seen. It is characterized by serum antibodies against alpha 3 NC1 domain of collagen - IV. Lumpy-bumpy deposits on immunofluorescence- seen in Post Streptococcal GN